A 55-year-old woman presents with fatigue and malaise which has been worsening over the last 2 months. She also noticed loss of appetite and early satiety. Evaluation finds an ulcerative mass located along the lesser curvature of the stomach along with bilateral ovarian masses. Which of the following is this patient most likely to have
1. Krukenberg tumor
2. Gastric leiomyosarcoma
3. Meig syndrome
4. Ovarian dysgerminoma

Correct answer: 1. Krukenberg tumor

Explanation: The presence of a ulcerated gastric mass along with bilateral ovarian masses suggests that the patient's gastric cancer has metastasized to the ovaries; this is known as a Krukenberg tumor. Histology typically shows "signet ring" cells, in which intracytoplasmic mucin fills the cell and pushes the nucleus to the periphery of the cell, leading to the histologic appearance of a signet ring. Ref:- Harsha Mohan textbook of Pathology